Efirenz limits HIV infection by
1. Binding to active site of HIV reverse transcriptase
2. Impairing the binding of HIV virion to CD4 receptor on T tubes
3. Inhibiting the HIV protease
4. Serving as an allosteric inhibitor of HIV reverse transcriptase

Correct answer: 4. Serving as an allosteric inhibitor of HIV reverse transcriptase

Explanation: Ref-KDT 6/e 772 Allosteric inhibitor Mein snong nucleoside reverse transcriptase inhibitors